Asteroid bodies are seen in-
1. Cryptococcosis
2. Histoplasmosis
3. Sporotrichosis
4. Aspergillosis

Correct answer: 3. Sporotrichosis

Explanation: Ans. is 'c' i.e., Sporotrichosiso Fusiform cigar bodies are seen in sporotrichosis.o The organism (sporothrix schenckii) are usually described as tiny, cigar-shaped bodies, 3-5 microns in length, which bear from one to three small oval buds at either or both pales,o Occasionally a larger asteroid body may be seen.